One of the following is false regarding complications of protein energy malnutrition:
1. Hyperglycemia
2. Hypothermia
3. Septic shock
4. Electrolyte imbalance

Correct answer: 1. Hyperglycemia

Explanation: Hypoglycemia is a usual complication of malnutrition, not hyperglycemia.